Pharmacokinetics is:
1. Study of absorption, distribution, binding storage/ biotransformation and excretion of the drug
2. Study of physiological and biochemical effects of drugs
3. Application of pharmacological information together with knowledge of the disease
4. Scientific study of drugs in humans

Correct answer: 1. Study of absorption, distribution, binding storage/ biotransformation and excretion of the drug

Explanation: Pharmacokinetics (Greek: Kinesis-movement)- What the body does to the drug. This refers to the movement of the drug and alteration of the drug by the body; includes absorption, distribution, binding/localization/storage, biotransformation and excretion of the drug. For example: paracetamol is rapidly and almost completely absorbed orally attaining peak blood levels at 30- 60 min; 25% bound to plasma proteins, widely and almost uniformly distributed in the body (volume of distribution - IL/kg); extensively metabolized in the liver, primarily by glucuronide and sulfate conjugation into inactive metabolites which are excreted in urine; has a plasma half-life (t1/2 )o 2-3 hours and a clearance value of 5 ml/kg/min. Ref- KD Tripathi Pharmacology 8th/e p1